Ferruginous bodies are seen in which of the following?
1. Silicosis
2. Byssinosis
3. Asbestosis
4. Bagassosis

Correct answer: 3. Asbestosis

Explanation: Ferrugenous bodies are seen in asbestosis. Ferruginous body appears as a yellow, beaded structures with clubbed ends. Asbestos exposure is a well-known risk factor for the development of mesothelioma.